Exception of Meyer oveon rule are A/E
1. Nonanaesthetics
2. Nonimmobilizer
3. Cut off effect
4. Hydrophobic site

Correct answer: 4. Hydrophobic site

Explanation: D i.e. Hydrophobic site Non anesthetics/ nonimmobilizers, cut off effect convulsant gases, isomers, hydrophilic site and critical volume expanism hypothesis provide exceptions to the meyer - oveon ruleQ.